Epithelioid hemangioendothelioma of nose is -
1. Carcinoma
2. Sarcoma
3. Carcinosarcoma
4. Hamartoma

Correct answer: 2. Sarcoma

Explanation: Ans. is 'b' i.e., Sarcomao Soft tissue sarcoma arise from mesenchyme, like muscles (myoma), endotha/ialcells (endothelioma) and cartilage (chondroma)o Epithelioid hemangioendothelioma (EHE) is a soft tissue sarcoma.o It arises from distinct type of endothelial cells which exhibit epitheloid morphology.